Hepatocellular damage of Wilson's resembles
1. Acute hepatitis
2. Chronic hepatitis
3. Submassive liver necrosis
4. All of the above

Correct answer: 4. All of the above

Explanation: The liver shows varying grades of changes that include fatty change, acute and chronic active hepatitis, submassive liver necrosis and macronodular cirrhosis. TEXTBOOK OF PATHOLOGY 6TH EDITION HARSH MOHAN PAGE NO:628